Which of the following disease is not transmitted by Musca domestica (Housefly)
1. Polio
2. Yaws
3. Oroya fever
4. None of the above

Correct answer: 3. Oroya fever